Angle of humeral torsion is ___ degrees?
1. 15
2. 35
3. 135
4. 164

Correct answer: 4. 164

Explanation: Ans. D 164Ref: Vishram Singh, vol-1: 2nd ed. pg. 22* Angle of humeral torsion is 164 degrees in contrast to femoral torsion of 15 degrees.* The angle of humeral torsion is due to angulation between the long axis of articular surface of the upper and lower ends of humerus. This is because the upper end appears to have rotated laterally